Dose of thiopentone used to prevent arterial spasm on intra-arterial injection
1. 5%
2. 2.50%
3. 2%
4. 1.50%

Correct answer: 2. 2.50%

Explanation: 2.5% thiopentone is used to prevent arterial spasm on intra-arterial injection